Von-Meyenburg's complexes are seen in?
1. Brain
2. Liver
3. Kidney
4. Spleen

Correct answer: 2. Liver

Explanation: Ans. (b) Liver(Ref: Robbins 9th/pg 862; 8th/pg 869)Von Meyenburg ComplexesClusters of dilated bile ducts embedded in a fibrous, sometimes hyalinized, stroma located close to or within portal tracts.These lesions are often referred to as "bile duct hamartomas"They are without clinical significance except in the differential diagnosis of metastases to the liver